True about epidemiology of cholera-
1. Cholera cannot be transmitted by contanimated water
2. Boiling of water cannot destroy the organism
3. food can transmit the disease
4. Vaccination give 90% protection

Correct answer: 3. food can transmit the disease

Explanation: Ans. is 'c' i.e., Food can transmit the disease